In urea cycle, hydrolysis of arginine forms ?
1. Citrulline
2. Ornithine
3. Carbomoyl phosphate
4. Arginosuccinase

Correct answer: 2. Ornithine

Explanation: Ans. is 'b' i.e., Ornithine